What is the amount of bleaching powder required to disinfect 455 litre of water if 4, 5, 6 cup shows distinct colouration in Horrock’s apparantus?
1. 2 g
2. 8 g
3. 6 g
4. 4 g

Correct answer: 2. 8 g